Lymphatic drainage of the cervix is to -
1. Iliac lymph nodes
2. Para aortic lymph nodes
3. Superficial inguinal lymph nodes
4. Deep inguinal lymph nodes

Correct answer: 1. Iliac lymph nodes

Explanation: Lymphatic drainage of the uterus
-        Cervix- External iliac, internal iliac, sacral lymph nodes
-        Body (Lower part)- External iliac
-        Body (upper part) and fundus- para-aortic nodes, superficial inguinal